Which of the following statement is true about Bacteroides
1. It is gram positive bacilli
2. It is strictly aerobic
3. It may cause peritonitis
4. Presence in stool culture indicates need for treatment

Correct answer: 3. It may cause peritonitis

Explanation: It is a Gram-negative strictly anaerobic bacilli and is a common inhabitant of the intestinal tract. They may cause peritonitis. Reference: Textbook of Microbiology; Anathanarayan and paniker's; 10th edition; Page no: 264